The following is true for the preservation of liver in case of poisoning except:
1. 500 grams of liver is preserved in adults
2. Whole liver is preserved in infants
3. Gall bladder is also included in paracetamol poisoning
4. Liver is stored as a whole in container

Correct answer: 4. Liver is stored as a whole in container

Explanation: The liver is removed from the body in the usual manner. About 500 grams portion is cut and preserved in another container of 1 litre capacity. In infants, whole liver is preserved. It is desirable to include the gallbladder, since some drugs are concentrated in the bile, such as paracetamol, barbiturates and opiates. The liver should always be sliced into pieces before placing it in the container, so that the preservative can exert its action more thoroughly.